All are true about sulphonyl ureas except?
1. It blocks ATP sensitive K+ channels and increase insulin release
2. They have higher risk of causing hypoglycemia than meglitinides
3. They are used mainly in type 1 DM
4. Chlorpropamide can cause dilutional  hyponatremia

Correct answer: 3. They are used mainly in type 1 DM

Explanation: Sulphonyl ureas are mainly used in Type 2 DM because Type 1 DM is characterized by autoimmune destruction of β - cells of pancreas and atleast 30% of β - cells should be present for sulphonyl ureas to be effective.